Continued production of estrogen and progesterone from the corpus luteum of the ovary is essential during the implantation process. The corpus luteum of the ovary (now known as the corpus luteum of pregnancy) is maintained by the secretion of human chorionic gonadotropin from which source?
1. The embryoblast cells
2. The endometrial glands
3. The hypoblast cells
4. The trophoblast cells

Correct answer: 4. The trophoblast cells

Explanation: Human chorionic gonadotropin is produced by the cells of the trophoblast cells, which blocks the degeneration of the corpus luteum, allowing it to continue to produce steroids essential to facilitate the implantation process in the uterine endometrium, at least for the first 10-12 weeks of embryonic development. The embryoblast cells subsequently divide to form a bilaminar germ disc consisting of the hypoblast (endoderm) and epiblast (ectoderm). Ref: Cunningham F.G., Leveno K.J., Bloom S.L., Hauth J.C., Rouse D.J., Spong C.Y. (2010). Chapter 3. Implantation, Embryogenesis, and Placental Development. In F.G. Cunningham, K.J. Leveno, S.L. Bloom, J.C. Hauth, D.J. Rouse, C.Y. Spong (Eds), Williams Obstetrics, 23e.